Which of the following Is not a feature of rheumatoid arthritis?
1. Heberden nodes
2. Swan neck deformity
3. Ulnar deviation of lingers at metacarpopalyngeal joint
4. Symmetric reduction of joint space

Correct answer: 1. Heberden nodes

Explanation: Ans. is 'a' i.e., Heberden nodes o Heberden nodes is a feature of osteoarthritis and not rheumatoid arthritis.Important hand deformities of hand in RAo Boutonniere deformity : Flexion contracture of PIP joint and extension of DIP joint,o Swan neck deformity : Hyperextension of PIP joint and flexion at DIP joint,o Z-deformity : Radial deviation of wrist with ulnar deviation of fingers,o Hyperextension of 1st interphalangeal joint and flexion of MP joint.